Arrange the following in sequential order of their involvement in estrogen synthesis: A. Progesterone B. Androgen in granulosa cell C. Androgen in theca cell D. Aromatase
1. B-A-D-C
2. A-C-D-B
3. D-C-A-B
4. A-C-B-D

Correct answer: 4. A-C-B-D

Explanation: Interaction of follicular theca and granulosa cells for production of estrogens. The theca cells, under the control of luteinizing hormone (LH), produce androgens that diffuse into the granulosa cells. In mature follicles, follicle-stimulating hormone (FSH) acts on granulosa cells to stimulate aromatase activity, which converts the androgens to estrogens. AC - Adenylate cyclase; ATP - Adenosine triphosphate; cAMP - Cyclic adenosine monophosphate; LDL - Low density lipoproteins.